All the following statements about Emphysema are true except
1. Breathlessness is the characteristic presenting symptom
2. Diffusion rate of carbon monoxide is reduced
3. Restrictive pattern on pulmonary function test is seen
4. Long term bronchodilator therapy does not improve lung function

Correct answer: 3. Restrictive pattern on pulmonary function test is seen

Explanation: The hallmark of Emphysema is air flow obstruction and pulmonary function test show an obstructive patters Ref Harrison 19th edition pg 306e-4